Skip lesions of colon with epitheloid granuloma are usually seen with
1. Crohn's disease
2. Ulcerative colitis
3. Intestinal TB
4. Sarcoidosis

Correct answer: 1. Crohn's disease

Explanation: The presence of multiple, separate, sharply delineated areas of disease, resulting in skip lesions, is characteristic of Crohn disease TEXT BOOK OF ROBBINS BASIC PATHOLOGY NINTH EDITION PAGE.589